CSF pressure is mainly regulated by:
1. Rate of CSF formation
2. Rate of CSF absorption
3. Cerebral blood flow
4. Venous pressure

Correct answer: 2. Rate of CSF absorption

Explanation: B i.e. Rate of CSF absorption